All except one are true regarding Barret's esophagus?
1. More incidence of sq. cell ca
2. Metaplasia
3. Columnar epithelium
4. Involves lower oesophagus

Correct answer: 1. More incidence of sq. cell ca

Explanation: Ans. is 'a' ie More incidence of sq.cell ca There is increased incidence of adenocarcinoma in Barret's esophagus. o Barrett's esophagus is a premalignant condition with increased incidence of adenocarcinoma of esophagus. o Also remember Barrett's esophgus is the single most important risk factor for adenocarcinoma of esophagus . The adenocarcinoma develops at the squamo -Columnamr junction (-85%) or within 2cm of the junction.